Predisposing factor for leukemia –
1. Down syndrome
2. Lowe's syndrome
3. Fragile–x–syndrome
4. None

Correct answer: 1. Down syndrome